All are hepatotoxic drugs Except:
1. Erythromycin estolate
2. Rifampicin
3. Tetracycline
4. Linezolid

Correct answer: 4. Linezolid

Explanation: Linezolid This is the first member of a new class of svnthetic AMAs 'Oxazolidinones' which has become available for the treatment of resistant gram positive coccal (aerobic and anaerobic) and bacillary infections. It is active against MRSA and some VRSA, VRE, penicillin-resistant Strep. pyogenes, Strep. viridans and Strep. pneumoniae, M. tuberculosis, Corynebacterium, Listeria, Clostridia and Bact. Jragilis. It is primarily bacteriostatic, but can exert cidal action against some streptococci, pneumococci and B. fragilis. Gram negative bacteria are not affected. Side effects to linezolid have been few; mostly mild abdominal pain and bowel upset. Occasionally, rash, pruritus, headache, oral/ vaginal candidiasis have been reported. Neutropenia and thrombocytopenia are infrequent and usually mild. Because linezolid is a MAO inhibitor, interactions with adrenergic/ serotonergic drugs and excess dietary tyramine are expected. No cytochrome P450 enzyme related interactions seem likely. ESSENTIALS OF MEDICAL PHARMACOLOGY K.D.TRIPATHI SIXTH EDITION PAGE NO:733